All the following are diagnostic barium follow-through features of ileocecal tuberculosis except
1. Pulled up contracted caecum
2. Widening of ileocecal angle
3. "Wind-sock" appearance of duodenum
4. Strictures involving terminal ileum

Correct answer: 3. "Wind-sock" appearance of duodenum